In which part of the oral cavity has thinnest mucous membrane:
1. Buccal mucosa.
2. Labial mucosa.
3. Floor of the mouth.
4. Soft palate.

Correct answer: 3. Floor of the mouth.

Explanation: Histologically mucosa of the floor of mouth is non-keratinized, thinnest and loosely adherent to the underlying structures. Loose attachment to the underlying tissue provide free mobility to the tongue.